The choice of antihypertensive medication also depends upon the comorbid illness of the patient and all of the following recommendations have been made EXCEPT:
1. In hypertensive patients with heart failure, ACE inhibitors may be preferred
2. In hypertensive patients with migraine, beta blockers are an excellent choice
3. In hypertensive patients with gout, diuretics are particularly useful
4. In hypertensive patients with peripheral vascular disease, calcium channel blockers are recommended.

Correct answer: 3. In hypertensive patients with gout, diuretics are particularly useful